Pincer grasp occurs first during ___________
1. 3-5 months
2. 5-7 months
3. 7-9 months
4. 9-10 months

Correct answer: 4. 9-10 months

Explanation: 9-10 months- immature pincer grasp; babies use all of their fingers and their thumb to pick up objects; probes with forefinger. 12 months - mature pincer grasp; babies use index finger and thumb to pick up objects. Reference : page 49 Ghai Essential Pediatrics 8th edition